All of the following are true about Xanthine oxidase, EXCEPT:
1. Contains iron
2. Contains molybdenum
3. Flavoprotein
4. Produces H2O

Correct answer: 4. Produces H2O

Explanation: Xanthine oxidase is a flavoprotein containing both molybdenum and iron-sulphur clusters. Deficiency of xanthine oxidase leads to hyperuricemia. Look at the reaction. Xanthine oxidase produces H2O2(Hydrogen peroxide), not H2O.